Posterior lenticonus is seen in -
1. Alport's syndrome
2. Lowe's syndrome
3. Marfan syndrome
4. Homocystinuria

Correct answer: 2. Lowe's syndrome

Explanation: Lenticonus: It refers to cone-shaped elevation of the anterior pole (lenticonus anterior) or posterior pole (lenticonus posterior) of the lens. Lenticonus anterior may occur in Alport's syndrome and lenticonus posterior in Lowe's syndrome. REF IMG